Steering wheel injury on chest of a young man reveals multiple fractures of ribs and paradoxical movement with severe respiratory distress. X-ray shows pulmonary contusion on right side without pneumothorax. What is the initial treatment of choice?
1. Immediate internal fixation
2. Endotracheal intubation and mechanical ventilation
3. Thoracic epidural analgesia and O2 therapy
4. Stabilization with towel clips

Correct answer: 2. Endotracheal intubation and mechanical ventilation